Arrange the following drug in sequence of their use in status epilepticus: a. Phenytoin b. Lorazepam c. Phenobarbital d. Propofol
1. d>b>c>a
2. b>a>c>d
3. b>c>d>a
4. c>a>d>b

Correct answer: 2. b>a>c>d

Explanation: First drug used in status epilepticus is lorazepam.